A 34 year old chronic smoker presents to you with progressive claudication of the left arm with ulcers on the ring finger. The patient also gives history suggestive of recurrent superficial phlebitis. There is also history of Raynaud's phenomenon. What is the best treatment for the patient?
1. Steroids
2. Aspirin
3. Pentoxifylline
4. Abstinence from tobacco

Correct answer: 4. Abstinence from tobacco

Explanation: The triad of claudication, Raynaud's phenomenon and migratory superficial thrombophlebitis in a young male smoker is typical of thromboangiitis obliterans (Buerger's disease). An arteriography will show segmental occlusion with collaterals. Histopathology will show sharply segmental acute and chronic vasculitis of small and medium arteries of the affected area. Ref: S. Das, Edition 5, Page 68